Best substitute of esophagus after esophagectomy is:
1. Stomach
2. Jejunum
3. Left colon
4. Right colon

Correct answer: 1. Stomach

Explanation: Answer is A (Stomach) After a portion of esophagus is removed, or after complete esophagectomy, a conduit must be establishedfbr alimentary continuity. The stomach, colon and jejunum have all been successfully used a esophageal substitutes but the Stomach appears to be the 'conduit' of choice because of ease in mobilization and its ample vascular supply - Sabiston Colon is used if the patient has undergone a partial or total gastrectomy previously, or if tumor involves the stomach to preclude a 5 cm margin. Jejunal loops can also be used, but limited vascular supply restricts mobility.